Plaque Jaunes seen in -
1. Testicular injury
2. Old healed cortical contusion
3. Spleenic contusion
4. Liver contusion

Correct answer: 2. Old healed cortical contusion

Explanation: The synopsis of forensic medicine & toxicology;Dr k.s narayan reddy ;28th edition; pg.no .141; Plaque jaunes is seen in old healed cortical contusion . contusions found in deeper structure of the brain along the line of impact are called intermediary coup contusion. Contusion caused by fracture of skull are called fracture contusion. Contusion in the cortex & white matter of frontal & central convolution are called gliding contusion.